Instrument that has a 4-digit formula:
1. Angle Former
2. Hoe
3. Hatchet
4. Spoon Excavator

Correct answer: 1. Angle Former